Amoebiasis is transmitted by all except-
1. Cockroach
2. Faeco oral
3. Vertical transmission
4. Oro-rectal

Correct answer: 3. Vertical transmission

Explanation: infective cysts are passed in the faeces of convalescent and carriers Man acquires infection by ingestion of water and food containing these cysts. The infection can also be acquired by ano genital or orogenital sexual contact among homosexual males.(refer pgno:17 baveja 3 rd edition)